Salmonella and shigella can be differentiated from other enterobacteriaceae member by isolation on:
1. MacConkey agar
2. Mannitol salt agar
3. BCYE medium
4. XLD agar

Correct answer: 4. XLD agar

Explanation: XLD (xyloseJysine deoxycholate) agar is a selective differential medium for isolation of Gram-negative enteric pathogens from fecal specimens and other clinical material. o It is especially suitablefor the isolation of shigella and salmonella specias REF : ananthanarayana 10th ed